Post operative Pulmonary Thromboembolism is seen in all, except :
1. Tall and thin man
2. Obese male
3. Pregnant female
4. Oestrogen therapy

Correct answer: 1. Tall and thin man